Following drugs are known to produce osteonecrosis EXCEPT
1. Glucocorticoids
2. Alcohol
3. Cytotoxicoids
4. NSAIDs

Correct answer: 4. NSAIDs

Explanation: these NSAID's cause gastric irritation and may risk the gastric bleeding. NSAIDs are non-specific cyclo-oxygenase inhibitors. So gastric protection and platelet function are lost.NSAIDS can also precipitate attacks of bleeding ulcers. ref:SRB's manual of surgery,ed 3,pg no 299